The masseteric notch in distobuccal corners of the mandibular denture is due to
1. Action of buccinator on masseter
2. Action of masseter on buccinator
3. Palatoglossus on buccinator
4. Superior constrictor on masseter

Correct answer: 2. Action of masseter on buccinator